Libman Sach's endocarditis is associated with?
1. Rheumatic heart disease
2. SLE
3. Carcinoma
4. None

Correct answer: 2. SLE

Explanation: Libman-Sacks endocarditis refers to sterile vegetations that can develop on the valves of patients with systemic lupus erythematosus. Libman-Sacks Endocarditis
These lesions presumably occur because of immune complex deposition and thus have also inflammation. With increasing use of steroids for Rx of lupus, Libman-Sacks endocarditis has become uncommon.
Morphology-Histology:

- Small (1-4 mm in diameter) sterile, granular pink vegetations;
- No special predilection for the lines of valve closure.
- Can be located on the undersurfaces of the atrioventricular valves, on the cords, or even on the atrial or ventricular endocardium.
- The lesions are finely granular, fibrinous eosinophilic vegetations containing nuclear debris. An intense valvulitis is often present, with fibrinoid necrosis of the valve substance adjacent to the vegetation. Subsequent fibrosis and serious deformity can result in that resemble chronic RHD.